Deep sleep is characterized by
1. α
2. β
3. δ
4. θ

Correct answer: 3. δ

Explanation: Deep sleep or NREM 3 is characterized by presence of δ waves → Frequency 0-4 Hz.
Hence, NREM 3 is also called slow wave sleep.